All of the following amino acids forms Acetyl CoA via pyruvate dehydrogenase except:
1. Glycine
2. Tyrosine
3. Hydroxyproline
4. Alanine

Correct answer: 2. Tyrosine

Explanation: Ans. B. Tyrosine(Ref: Harper 31/e page 151-155)Amino acid that enter via Pyruvate to TCA cycle are:Hydroxy Proline, Serine, Cysteine, Threonine, GlycineTryptophan, Alanine